Best diagnostic test for fungal skin infection –
1. KOH test
2. Diascopy
3. Wood's lamp
4. Patch test

Correct answer: 1. KOH test